All the following statements regarding Hepatitis B are true except -
1. Delta hepatitis can occur as a co-infection or superinfection
2. Hepatitis e antigen indicates that avtive viral replication
3. Steroids are the drug of choice in chronic Hepatits B
4. Can lead to Hepato Cellular Carcinoma

Correct answer: 3. Steroids are the drug of choice in chronic Hepatits B